BRACI is not associated with
1. Ovarian carcinoma
2. Breast carcinoma
3. Endometrial carcinoma
4. Fallopian tube cancer

Correct answer: 3. Endometrial carcinoma

Explanation: Ans is 'c' i.e. Endometrial carcinoma BRCA-1 er BRCA-2 are commonly associated with - Carcinomas of ovary and breast.Less commonly BRAC-2 is also associated with 4 Carcinomas of colon, prostate and pancreas.